Which of the following is not the site for paraganglioma -
1. Carotid bifurcation
2. Jugular foramen
3. Promontary in middle ear
4. Geniculate ganglion

Correct answer: 4. Geniculate ganglion